All of the following statements about non typhoid salmonella are true, except -
1. Humans are the only reservoirs
2. Transmission is most commonly associated with eggs, poultry and undercooked meat
3. Common in immunocompromised individuals
4. Resistance to fluoroqinolones has emerged

Correct answer: 1. Humans are the only reservoirs